EBV causes all except
1. Duncan's syndrome
2. Kissing disease
3. Non- Hodgkin's Lymphoma
4. Castleman's disease

Correct answer: 4. Castleman's disease

Explanation: Castleman's disease is caused by HHV -8.